Which of the following binds to viral envelope glycoprotein preventing the conformational changes required for the fusion of viral and cellular membranes?
1. Abacavir
2. Indinavir
3. Enfuvirtide
4. Oseltamivir

Correct answer: 3. Enfuvirtide

Explanation: Enfuvirtide is a fusion inhibitor useful in the treatment of HIV infections. It acts by binding to HIV-I envelope transmembrane glycoprotein (gp41) which is involved in fusion of viral and cellular membranes. Abacavir is a NRTI Indinavir is a protease inhibitor Oseltamivir is a neuramindase inhibitor.